Acute changes in brain due to wernicke's encephalopathy in chronic alcoholics is most frequently seen in:
1. Mamillary bodies
2. Aqueduct of the midbrain
3. Around the third ventricle
4. Around the fourth ventricle

Correct answer: 1. Mamillary bodies

Explanation: Acute changes are most frequently seen in the 1. Mamillary bodies And also seen in 2. Around the third and fourth ventricles and 3. Aqueduct of the midbrain. Ref: Thorarinsson BL, S C I E N T I F I C P A P E R O V E R V I E W